30 yrs old farmer treated initially with chloroquine for uncomplicated malaria now has an episode of relapse, what could be the reason for relapse?
1. P. vivax has a significant level of chloroquine resistance.
2. P. vivax has a persistent exoerythrocytic stage (hypnozoite).
3. P. vivax has a persistent erythrocytic stage.
4. Chloroquine is not one of the drugs of choice.

Correct answer: 2. P. vivax has a persistent exoerythrocytic stage (hypnozoite).

Explanation: Both Plasmodium ovale and Plasmodium vivax may have resting liver forms, which are very slow to develop into schizonts with merozoites and proceed onto the chloroquine-sensitive erythrocytic stages after treatment is over.